Bezold-Jarisch reflex is produced by the receptors located in the
1. Lungs
2. Heart
3. Pluera
4. Brain

Correct answer: 2. Heart

Explanation: Bezold-Jarisch reflexApnea followed by rapid breathing, hypotension, and bradycardia (the coronary chemoreflex or Bezold-Jarisch reflex).The response is produced by receptors in the heart.The receptors are probably C fiber endings, and the afferents are vagal.Its physiologic role is uncertain, but in patients with myocardial infarcts, substances released from the infarcted tissue may stimulate ventricular receptors, contributing to the hypotension that is not infrequently a stubborn complication of this disease.